Not a Radiological sign of Crohn's disease
1. String sign of Kantor
2. Thumb printing
3. Creeping fat sign
4. Cobble stone appearance

Correct answer: 2. Thumb printing

Explanation: Thumb printing - mucosal edema seen in ischaemic colitis > Ulcerative colitis.